Cell involved in the immediate phase of wound healing
1. Platelets
2. Fibroblasts
3. Basophils
4. Macrophages

Correct answer: 1. Platelets

Explanation: . Platelets